Epley's maneuver -
1. Positional vertigo
2. Otosclerosis
3. ASOM
4. CSOM

Correct answer: 1. Positional vertigo